Which is a treatment of juvenile myoclonic epilepsy in pregnancy?
1. Levetiracetam
2. Carbamazepine
3. Vigabatrin
4. Phenytoin

Correct answer: 1. Levetiracetam

Explanation: A unique anticonvulsant which suppresses kindled seizures but is ineffective against rna'-'electroshock or PTZ. Clinical efficacy has been sh,,*. -adjuvant medication in refractory partial seizure,; or without secondary generalization. None of the __ anticonvulsant mechanisms of action appear applicable to levetiracetarn. Ref KD Tripati 8th ed.